Which of the following is true of lepromatous leprosy  a) Bacterial index + to ++  b) Involvement of earlobes  c) Symmetrical involvement  d) Only a few bacilli are seen in the lesion  e) Loss of eyebrows
1. abc
2. bce
3. ade
4. cde

Correct answer: 2. bce